Glucose can be synthesised from all except:
1. Amino acids
2. Glycerol
3. Acetoacetate
4. Lactic acid

Correct answer: 3. Acetoacetate

Explanation: Ans. C. Acetoacetate(Ref: Harper 31/e page 172)Substrates for GluconeogenesisGlucogenic amino acidsLactateGlycerolAcetyl-CoA, Acetoacetate are not substrates for gluconeogenesis